All of the following are true about sedatives & hypnotics except
1. Ramelton is a melatonin antagonist used to treat jet lag
2. Thiopentone is contraindicated in porphyrias
3. Midazolam is the shortest acting Benzodiazepine
4. Suvorexant is Orexin receptor antagonist used in insomnia

Correct answer: 1. Ramelton is a melatonin antagonist used to treat jet lag

Explanation: Melatonin is secreted by pineal gland in darkness, which acts on Melatonin 1 & Melatonin 2 receptors to induce sleep.
Ramelton is a Melatonin receptor agonist used for sleep induction in Jet lag.